Premature closure of which of the following sutures can cause dolichocephaly?
1. Sagittal suture
2. Coronal suture
3. Metopic suture.
4. Frontozygomatic suture

Correct answer: 1. Sagittal suture

Explanation: The most common form of craniosynostosis is premature closure of the sagittal suture, giving a scaphocephalic (boat-shaped) or dolicocephalic head. Premature closure of the coronal suture leads to a brachycephaly.